Uterus and cervix develop from ?
1. Mullerian duct
2. Wolfion duct
3. Mesonephirc duct
4. None

Correct answer: 1. Mullerian duct

Explanation: Ans. is 'a' i.e., Mullerian duct